To know long term diabetic status which of the 
following test is done
1. random blood sugar
2. fasting blood sugar
3. glycated haemoglobin
4. glucometer

Correct answer: 3. glycated haemoglobin